Le Forte II facial fracture implies -
1. Fracture running through alveolar ridge
2. Fracture running through midline of the palate and zygomatico maxillary suture
3. Fracture running through zygomatic process of the maxilla, floor of orbit, root of nose on one side only
4. Similar to C but on both sides

Correct answer: 4. Similar to C but on both sides

Explanation: Ans. is 'd' i.e., Similar to C but on both sides Le Fort Classification of Mid-face Le Fort I (transverse fracture)the line runs above & parallel to the palate and effectively separates the alveolus and palate from the facial skeleton above.it crosses the lower part of the nasal septum, maxillary antra and the pterygoid plates.Le Fort II fractureit is pyramidal in shape and passes through the root of nose, lacrimal bone, floor of orbit, upper part of maxillary sinus and pterygoid plates. the orbital floor is always involvedLe Fort III fracture (craniofacial dysjunction) there is complete separation of facial bones from the cranial bones.the line runs high through the nasal bridge, septum and ethmoids, and through the bones of orbit to the frontozygomatic suture. The zygomaticarch fractures and the facial skeleton is separated from the bones above at a high level through the lateral wall of maxillary sinus and the pterygoid plates.